Figure is showing Population pyramid. Select inappropriate statement regarding it:-
1. It is double histogram by nature
2. Downright triangular shape
3. Broad base and narrow top as more % of population in child age
4. Seen in developing country

Correct answer: 2. Downright triangular shape

Explanation: Developing Developed countries Shape (Tells fertility pattern) - Upright Triangle - Broad base, narrow top as more % of population in child age & less % in geriatric age. - Spindle shape with a bulge in middle - Max population is in the middle years of life i.e. economically productive age group. Span (indicates life expectancy) It means height. It is less here. It is taller or higher. Symmetry - Asymmetric - Cause is sex selective abortions, female foeticide etc. - Symmetrical - It indicates sex ratio of country